Drug of choice for treatment of intermediate uveitis is
1. Cycloplegics
2. Analgesics
3. Steroids
4. Antibiotics

Correct answer: 3. Steroids

Explanation: Treatment for Intermediate uveitis : Intravitreal or Posterior Subtenon's Steroid injections : Triamcinolone acetonide Steroids may also be given by subconjuntival route or by Subtenon's route